All of the following are characteristic features of primary spontaneous penumotharax Except
1. Male gender
2. Old age
3. Tall stature
4. History of smoking

Correct answer: 2. Old age

Explanation: Answer is B (Old age): Primary spontaneous pneumothorax is characteristically affects young individuals and not elderly individuals. Primary Spontaneous Pneumothorax (Primary pneumothorax) Primary spontaneous penumothorax occurs in persons with no clinical evidence of lung disease and often without an obvious precipitating event Most of these patients have occult lung disease (sub clinical lung disease) in the form of subpleural apical blebs (recognized on CT scan) Characteristic risk factors include a positive family history and history of smoking (occurs almost exclusively in smokers according to Harrisons) Characteristically affects tall, thin boys and men between the age of 10 and 30 years Primary Spontaneous pneumothorax No clinical evidence of pre existing lung diseaseQ Rupture of apical subpleural blebs Positive family historyQ History of smokinge Tall and thin individual Q Young adults (10 to 30 years of age)e Male genderQ